Which one of the cranial nerves exits the brainstem from the posterior aspect?
1. CN I
2. CN II
3. CN III
4. CN IV

Correct answer: 4. CN IV

Explanation: Trochlear nerve (CN IV)is the only cranial nerve to exit the brainstem from the dorsal/ posterior aspect.